The total number of cingula in each dentition is:
1. 6
2. 12
3. 24
4. 32

Correct answer: 2. 12